Treatment of uncomplicated hydatid cyst in lung is
1. Marsupialisation
2. Lobectomy
3. Enucleation
4. Extended tube drainage

Correct answer: 3. Enucleation